Which of the following is most characteristic of diabetic neuropathy?
1. it is usually bilateral
2. pain is not a feature
3. it most commonly affects the brain
4. it spares the autonomic system

Correct answer: 1. it is usually bilateral

Explanation: Diabetic neuropathy usually presents as peripheral polyneuropathy, usually bilateral, including symptoms of numbness, paresthesia, severe hyperesthesia, and pain. Impairment of proprioceptive fibers can lead to gait abnormalities and Charcot's joints. Mononeuropathy is less common and is often spontaneously reversible. Common syndromes include wrist or foot drop and third, fourth, or sixth cranial nerve palsies. Autonomic neuropathy may cause gastroesophageal dysfunction, bladder dysfunction, and orthostatic hypotension.